A 25 year old man complains of myopathy and undergoes a muscle biopsy for diagnosis. Histopathology demonstrates an inflammatory muscle disease characterized by non caseating granulomas. Which of the following would have caused her symptoms
1. Cysticercosis
2. Tuberculosis
3. Sarcoidosis
4. Schistosomiasis

Correct answer: 3. Sarcoidosis

Explanation: Sarcoidosis  can cause both neuropathy and myopathy.non caseating granulomas give hint to diagnose.